JAK -2 mutation is seen in?
1. Polycythemia Vera
2. I.T.P
3. C.M.L
4. C.M.M.L

Correct answer: 1. Polycythemia Vera

Explanation: Ans. (a) Polycyathemia VeraRef: Robbins pathology 9th ed/616JAK-2 Mutation is seen in:-* Polycythemia Vera* Primary myelofibrosis* Essential Thrombocytosis